which of the following antidepressent causes paraesthesis due to pyridoxine deficiency
1. tranylcypromine
2. amitriptilline
3. duloxetine
4. milnacipran

Correct answer: 1. tranylcypromine

Explanation: MAOI * IMPORTANCE First class of antidepressant drugs that were introduced * MECHANISM There are three monoamines namely dopamine, adrenaline and serotonin. These mon amines are degraded by monoamine oxidase. MAOI inhibit this enzyme and acts increasing monoamines * DRUGS Phenelezine Tranylcipromine * USE ATYPICAL DEPRESSION, depression with reverse vegetative symptoms * SIDE EFFECTS Hypertensive crisis Cheese reaction When a patient on MAOI takes tyramine rich food like tyramine there will be increased release of monoamines. These excess monoamines cannot be degraded by MAO as it is blocked by MAOI. Thus, this may result in hypertensive crisis. Paresthesia's due to pyridoxine deficiency LIKE IPRONIAZID WEIGHT gain SEXUAL dysfunction Ref. kaplon and sadock, synopsis of psychiatry, 11 th edition, pg no. 955